Angular vein is formed by:
1. Superficial temporal and supratrochlear vein
2. Superficial temporal and supraorbital vein
3. Retromandibular and supratrochlear vein
4. Supraorbital and supratrochlear vein

Correct answer: 4. Supraorbital and supratrochlear vein

Explanation: The supratrochlear and supraorbital veins unite at the medial angle of the eye forming the angular vein which continues down as the facial vein.